Which of the following histological feature distinguish a well differentiated follicular carcinoma of thyroid from a follicular adenoma?
1. Hurthle cell change
2. Lining of tall columnar and cuboidal cells
3. Vascular invasion
4. Nuclear features

Correct answer: 3. Vascular invasion

Explanation: Follicular adenoma can be differentiated from follicular carcinoma on the basis of invasion of capsule or of pericapsular blood vessel. Follicular adenoma do not invade capsule or peri capsular blood vessel. Ref: Bailey and Love's Short Practice of Surgery, 24th Edition, Pages 797, 799; Endocrine Pathology: Differential Diagnosis and Molecular Advances By Ricardo V. Lloyd, Page 204